Microlaryngoscopy is usually done with an objective lens with focal length of
1. 100 mm
2. 200 mm
3. 300 mm
4. 400 mm

Correct answer: 4. 400 mm

Explanation: Surgical microscopes have the ability to fine focus with focal lengths that may vary from the standard microlaryngeal surgical focal length of 400 mm.